Nerve supply to the muscles of flexor compartment of arm ?
1. Radial nerve
2. Median nerve
3. Musculocutaneous nerve
4. Ulnar nerve

Correct answer: 3. Musculocutaneous nerve

Explanation: Ans. is 'c' i.e., Musculocutaneous nerve